In stable angina
1. CK- MB is elevated
2. Troponin 1 is elevated
3. Myoglobin is elevated
4. The level of cardiac markers remain un changed

Correct answer: 4. The level of cardiac markers remain un changed

Explanation: Ref Harrison 19 th ed pg 1593 Necrotic myocardial fibres release a variety of enzymes into blood stream. In stable angina necrosis of the cell does not occur so there is no elevation of serum enzymes.